Earliest sensation to be lost in Hansens disease is –
1. Pain
2. Touch
3. Vibration
4. Temperature

Correct answer: 4. Temperature

Explanation: Temperature is the first sensation that is lost. The next sensation lost is light touch then pain. Deep pressure is lost finally.